The completed family size may be estimated by -
1. Birth rate
2. Death rate
3. Total fertility rate
4. Age specific fertility rate

Correct answer: 3. Total fertility rate

Explanation: Total fertility rate determines the average number of children a woman would have if she were to pass through her reproductive years bearing children at the same rates as the women now in each age group does.
It is computed by summing the age specific fertility rates for all ages. This gives the approximate magnitude of the completed family size. - Park